A 23-year-old woman with impaired pain and temperature sensation in her arms but normal light touch. ACT scan reveals dilatation of the central part of the spinal cord in the cervical region (syringomyelia) For the above patient with a neurologic condition, select the most likely associated findings.
1. hyperkalemia
2. weakness and atrophy of the hands
3. hypokalemia
4. hypercalcemia

Correct answer: 2. weakness and atrophy of the hands

Explanation: Syringomyelia is characterized by a dissociated sensory loss. Atrophy of the muscles can result in a claw hand deformity. Fasciculations are commonly found.